Education charts that are serially flashed audience as the talk is being given is known as
1. Flip charts
2. Pie charts
3. Controlled charts
4. All of the above

Correct answer: 1. Flip charts